Which of the following is known as wear and tear pigment?
1. Lipochrome
2. Cytochrome
3. Lipoxin
4. Lipoprotein

Correct answer: 1. Lipochrome

Explanation: Lipofuscin is known as lipochrome. It is wear and tear pigment / aging pigment. It is a sure sign of free radical injury.